Which drug can cause thyroid dysfunction is?
1. Amiodarone
2. Ampicillin
3. Ibutilide
4. Acyclovir

Correct answer: 1. Amiodarone

Explanation: ANSWER: (A) AmiodaroneREF: Goodman and Gillman s 11TH edition, page 1000, CURRENT Medical Diagnosis and treatment Chapter 26. Endocrine DisordersIndirect repeat in June 2010Amiodarone, because of its high iodine content, causes clinically significant Hypothyroidism inabout 8% of patients.ANTITHYROID COMPOUNDSProcess AffectedExamples of InhibitorsActive transport of iodide Complex anionsPerchlorate, Fluoborate, Pertechnetate, ThiocyanateIodination of thyroglobulin ThionamidesPropylthiouracil. Methimazole, Carbimazole Thiocyanate; iodide. Aniline derivatives; sulfonamidesCoupling reactionThionamides; sulfonamidesHormone releaseLithium salts, iodide, lodotyrosineIodothyronine deiodinationNitrotyrosinesPeripheral deiodinationThiouracil derivatives; Amiodarone Oral cholecystographic agentsHormone actionThyroxine analogs; AmiodaroneHormone excretion inactivationInducers of hepatic drug-metabolizing enzymes: phenobarbital, rifampin, carbamazepine, phenytoinBinding in gutCholestyramine